Which of the following therapies are used in the treatment of OCD?
1. Exposure and response prevention
2. Flooding
3. Systemic desensitization
4. All of the above

Correct answer: 4. All of the above

Explanation: Along with SSRI's like Fluoxetine psycotherapies like Exposure and response prevention, Flooding, Systemic desensitization, Psychoanalytic therapy and Supportive psychotherapy involving family members is used in the management.